A 80-year-old patient presents with a midline tumor of the lower jaw, involving the alveolar margin. He is endentulous. Rx of choice is :
1. Hemimandibulectomy
2. Commando operation
3. Segmental mandiblectomy
4. Marginal mandibulectomy

Correct answer: 3. Segmental mandiblectomy

Explanation: The best t/t for such tumor is excision of the growth along with segmental mandibulectomy.
Hemimandibulectomy would not be useful, as the tumor is midline.
Since the bone is involved by the growth, marginal mandibulectomy would not be a good choice.